Iodine 123 has a half life of?
1. 6 hours
2. 8 days
3. 13 hours
4. 14 days

Correct answer: 3. 13 hours

Explanation: Important Radioisotopes Half Life RADIOISOTOPE HALF LIFE IODINE 131 8 DAYS IODINE 125 60 DAYS IODINE 124 4 DAYS IODINE 123 13 HOURS PHOSPHORUS -32 14 DAYS RADIUM (RA-226) 1622 years Cobalt -60 5.2 years Cesium - 137 30 years TC- 99m 6 hours Iridium (Ir-192) 74.5 Days 18F (18FDG) 110 min Strontium 89 50.5 days